Senile cardiac amyloidosis associated protein is ?
1. Transthyretin
2. ANP
3. Beta 2 microglobin
4. Gelsolin

Correct answer: 1. Transthyretin

Explanation: Ans. is 'a' i.e., Transthyretin